All are true about anaesthetic implication of obesity except:-
1. There is high risk of regurgitation
2. There is decrease cardiac output
3. There is increased risk of perioperative hypoxemia
4. There high risk of renal disease

Correct answer: 2. There is decrease cardiac output

Explanation: There is no effect on cardiac ouput in obesity. airway may be difficult to secure in obese patient and they are high risk for aspiration. they are at high risk of developing perioperative hypoxemia thus may require BiPAP postoperatively.